Which one of the following does not commonly survive in a periapical lesion?
1. Pseudomonas
2. Streptococcus
3. Porphyromonas
4. Actinomyces

Correct answer: 1. Pseudomonas